What is the drug of choice for treating angle closure glaucoma?
1. Pilocarpine
2. Timolol
3. Dipiveffine
4. Apraclonidine

Correct answer: 1. Pilocarpine

Explanation: Ans. is 'a' i.e., Pilocarpine o Has been explained in previous sessions.